MDPI (Multi-dimensional poverty index) has all of following indicator except:-
1. Health
2. Education
3. Income
4. Living standards

Correct answer: 3. Income

Explanation: Multi-dimensional poverty has 3 dimensions measured using 10 indicators; Dimensions Indicators Health Nutrition Child mortality Education Years of schooling School attendance Standard of living Cooking fuel Sanitation (Toilets) Drinking water Electricity Housing (Floor) Assets